Structure that passes through the internal auditory canal:
1. Anterior inferior cerebellar artery
2. Posterior inferior cerebellar artery
3. Nerve of Wrisberg.
4. All

Correct answer: 3. Nerve of Wrisberg.

Explanation: C. i.e. Nerve of Wrisberg